Most important for diapedesis
1. PECAM
2. Selectin
3. Integrin
4. Mucin like Glycoprotein

Correct answer: 1. PECAM

Explanation: Diapedesis or Transmigration-process of leukocyte recruitment is migration of the leukocytes through the endothelium.

Most important for diapedesis is PECAM- 1 and CD31 molecules